In benign intracranial hypertension-
1. There is a restriction of upgaze
2. Normal ventricles is found in 50% of cases
3. Brain scan in important in young woman to exclude sagittal sinus thrombosis
4. Optic nerve fenestration should be performed early before the vision is affected

Correct answer: 3. Brain scan in important in young woman to exclude sagittal sinus thrombosis